The relation of common bile duct
1. Lies of portal vein
2. Lies right to hepatic artery
3. Lies left to hepatic artery
4. Lies posterior to hepatic artery and portal vein

Correct answer: 2. Lies right to hepatic artery

Explanation: The anterior border of the liver is lifted upwards. Gallbladder with Longitudinal section, pancreas, and duodenum with frontal one. Intrahepatic ducts and stomach in transparency. It is formed by the union of the common hepatic duct and the cystic duct (from the gallbladder). ref - BDC 6e vol2 pg289